Egocentrism and animation is found in the following
stage of cognitive development?
1. Sensorimotor stage
2. Preoperational stage
3. Operational stage
4. Concrete operational

Correct answer: 2. Preoperational stage